True regarding Sjogren's syndrome are all of the following except:
1. Autoimmune condition
2. Males are commonly affected
3. Progressive destruction of lacrimal and salivary gland
4. No single laboratory investigation is pathognomic

Correct answer: 2. Males are commonly affected

Explanation: Ans. B: Males are commonly affected SjOgren's Syndrome (SS) is a systemic autoimmune disease characterised by lymphocytic infiltration, acinar cell destruction and proliferation of duct epithelium in all salivary and larimal gland tissue. Extra glandular involvement of muscles, blood vessels, lungs, kidneys may also occur. Females are affected more than the males It may be primary and secondary (when associated with other connective tissue diseases). There is a risk of progression to lymphoid malignancy. Dry mouth, dry eyes and arthritis/arthralgia are the 3 common presenting features. Of the extraarticular manifestations, Raynaud's phenomena is the most common skin manifestation seen in 35% of patients. Vasculitis has been reported in 5% of patients with Sjogren's syndrome. This includes small vessel leucocytoclastic vasculitis and medium vessel necrotising vasculitis. Distal RTA may be silent or lead to renal stones, nephrocalcinosis and compromised renal function. Hypergammaglobulinemia may be due to polyclonal activation of B cells. The diagnosis is base on the history as no single laboratory investigation is pathognomic of either primary or secondary Sjogren's syndrome